Which substance enhances the sensitivity of pain receptors but does not directly excite them?
1. Bradykinin
2. Serotonin
3. Potassium ions
4. Prostaglandins

Correct answer: 4. Prostaglandins

Explanation: Prostaglandins & substance P are believed to enhance the sensitivity of pain receptors but do not actually excite them.